Optimum minute ventilation is ensured by adjusting the following ventilation parameters
1. PEEP and FiO2
2. Tidal volume and respiratory rate
3. PEEP and respiratory rate
4. Tidal volume and PEEP

Correct answer: 2. Tidal volume and respiratory rate

Explanation: Minute ventilation is tidal volume multiplied by respiratory rate.so these parameters must be adjusted to maintain optimum ventilation.